All of the following are examples of traction epiphysis, except -
1. Mastoid process
2. Tubercles of humerus
3. Trochanter of femur
4. Condyles of tibia

Correct answer: 4. Condyles of tibia

Explanation: Condyles of tibia are pressure epiphysis.
All other given options are traction epiphysis